A person feels that grains of sand are lying under the skin or some small insects are creeping on the skin giving rise to itching sensation the condition is seen in -
1. Cocaine poisoning
2. Organophosphorus poisoning
3. Morphine poisoning
4. Alcohol withdrawal

Correct answer: 1. Cocaine poisoning